Urinalysis shows RBC casts; likely source is :
1. Kidney
2. Ureter
3. Bladder
4. Urethra

Correct answer: 1. Kidney

Explanation: Answer is A (Kidney): RBC casts are suggestive of glonteilar (Kidney) injury. Urinary casts are formed when proteins and other organic matter solidify in the renal tubule. The presence of casts in urine is indicative of disease of the nephron. Clinical significance of different casts: Hyaline casts : This is a normal constituent 2 of urine and has no attached significance Q. Tom Horsfall protein Q is protein secreted by epithelial cells of loop of henle Q. This protein may be excreted as Hyaline cast. Q RBC cast : are suggestive of glomerular injury e. White cell casts : are suggestive of interstitial injury and may be seen in interstitial nephritis Q WBC Broad granular casts : cast with bacteriaindicate pyelonephritis Q. Pigmented muddy : are seen in CRF c and suggests interstitial fibrosis and dilatation of tubules. brown granular casts : are suggestive of ischaemic or nephrotoxic injury i.e. Tubular Necrosis Q.